Epithelial granuloma is caused by-
1. Neutrophil
2. Cylotoxic T-cells
3. Helper T-cells
4. NK cells

Correct answer: 3. Helper T-cells

Explanation: Ans. is 'c' i.e., Helper T.cells Granulomatous inflammation is characterized by presence of epitheloid cells. These epitheloid cells are actually activated macrophages. The immune granulomas are formed when infection occurs with microbes which are capable of inducing cell mediated response. In these cases i.e., type IV Hypersensitivity T-helper cells produces IL-2 which activates other T cells and macrophages, the activated macrophages in turn form epitheloid cells and help in granuloma formation.